Drug of choice for non gonococcal urethritis is
1. Doxycycline
2. Tetracycline
3. Ciprofloxacin
4. Ceftriaxone

Correct answer: 1. Doxycycline

Explanation: i.e. (Doxycycline) : (715-KDT 6th) (1399-1249-CMDT-11) Drug of choice for Nongonococcal Urethritis trachomatis. Mvcoplasma genitaliumUreaplasmaUrealyticum)* Azithromycin (preferred and safe in pregnancy) lg single doseorDoxycycline (C/I in pregnancy) 100 mg BD for 7 daysorLevoflaxacin (C/I in pregnancy) 500 mg OD for 7 days* Diagnosis made by nucleic acid amplification of urine or swab specimen Drug of choice for Gonococcal Urethritis* Ceftriaxone (III generation cephalosporins) single dose 1/MorCefixime 400mg orally onceorCefpodoxime 200-400mg orally once